A Primipara complains of sudden onset vaginal discharge at 32 weeks of pregnancy.P/A = No contractionsCephalic presentationFetal heart sounds = NormalWhat is the first step in management?
1. Start broad spectrum antibiotics
2. Start corticosteroid
3. Perform sterile perspeculum examination
4. Perform sterile vaginal examination

Correct answer: 3. Perform sterile perspeculum examination

Explanation: Ans. is c, i.e. Perform sterile perspeculum examinationThe first step in the management is to perform a sterile speculum examination.